Nasal Septum is formed by:
1. Perpedicular plate of ethmoid
2. Crest of maxilla
3. Septal cartilage
4. All

Correct answer: 4. All

Explanation: B. i.e. Crest of maxilla; C. i.e. Septal cartilage; A. i.e. Perpendicular plate of ethmoid